Most potent stimulator of NaiveT-cells -
1. Mature dentritic cells
2. Follicular dentritic cells
3. Macrophages
4. B-cell

Correct answer: 1. Mature dentritic cells

Explanation: Question repeated